Temporomandibular joint is a?
1. Plain joint
2. Condylar joint
3. Ball and Socket joint
4. Saddle shaped joint

Correct answer: 2. Condylar joint

Explanation: Condylar joint